Intussusceptions frequently associated with
1. Subserosal lipoma
2. Submucosal lipoma
3. Intramural lipoma
4. Subfascial lipoma

Correct answer: 2. Submucosal lipoma